The deepest point between the anterior nasal spine and superior prosthion is
1. Subspinale
2. Supranasale
3. Infra spinale
4. gnathion

Correct answer: 1. Subspinale